Maximum effect of bronchodilatation in asthma is caused by ?
1. Corticosteroids
2. Theophylline
3. Anticholinergic
4. b2-Agonist)

Correct answer: 4. b2-Agonist)

Explanation: b-agonists in Asthma Bronchi have , b-adrenergic receptors which cause bronchodilatation - So, the adrenergic drugs used in asthma are selective b2 agonists. b-agonists are the most effective bronchodilators b2-agonists have some other effects also on airways (other than bonrchodilatation), that are responsible for beneficial effects in asthma : Inhibition of release of mast cells mediators - mast cells stabilizing action. Inhibition of exudation and airway edema. Increased mucociliary clearance Decreased cough b2-agonists have no effect on inflammation- no antiinflammatory action. REF : katzung pharmacology : 14th ed